A 30-year old male complains of loss of erection; he has low testosterone and high prolacting level in blood; What is the likely diagnosis -
1. Pituitary adenoma
2. Testicular failure
3. Craniopharyngioma
4. Cushing's syndrome

Correct answer: 1. Pituitary adenoma